Direct opening in the right atrium with
1. Anterior cardiac vein
2. Oblique vein
3. Middle cardiac vein
4. Great cardiac vein

Correct answer: 1. Anterior cardiac vein

Explanation: All veins of heart except the anterior cardiac veins and the venae cordis minimi drain into the coronary sinus which opens into the right atrium.The anterior cardiac veins and the venae cordis minimi open directly into the right atrium. BD CHAURASIA'S HUMAN ANATOMY .VOLUME 1.FIFTH EDITION.Page no-254